Patient aged 30 yr presented with swelling around knee Aspirate shows giant cells and mononuclear cells Most likely diagnosis is
1. Gaint cell tumour
2. Osteosarcoma
3. Chondroblastoma
4. Ewing's sarcoma

Correct answer: 1. Gaint cell tumour

Explanation: Giant cells present in i Gaint cell tumor= epilphyseal tumour ii Chondroblastoma REF : MAHESWARI 9TH ED